The phase I reactions of drug metabolism include the following except:
1. Hydrolysis
2. Reduction
3. Oxidation
4. Conjugation

Correct answer: 4. Conjugation

Explanation: Biotransformation reactions can be classified into: 

Nonsynthetic/Phase 1/Functionalization reactions:
 A  functional group (- OH, -COOH, -CHO, H2, - SH) is generated or exposed- metabolite may be active or inactive. 
Synthetic / Conjugation / Phase lI reactions: 
An endogenous radical is conjugated to the drug- metabolite is mostly inactive; except few drugs, e.g. glucuronide conjugate of morphine and sulfate conjugate of minoxidil are active.
Certain drugs already have functional groups and are directly conjugated, while others undergo a phase I reaction first followed by a phase II reaction.